Most Common Method Of Radiotherapy is?
1. Teletherapy
2. Brachytherapy
3. Systemic Radiotherapy
4. Interstitial Radiotherapy

Correct answer: 1. Teletherapy

Explanation: Most Common Method of Radiotherapy is External Beam Radiotherapy/Teletherapy